Choriocarcinoma commonly metastasises to :
1. Liver
2. Brain
3. Lungs
4. Placentas

Correct answer: 3. Lungs

Explanation: Lungs